All are true statements about pheochromocytoma except?
1. 90% are malignant
2. 95% occur in the abdomen
3. They secrete catecholamines
4. They arise from sympathetic ganglia

Correct answer: 1. 90% are malignant

Explanation: Discussing options one by one: Option 1 - False - 90% of pheochromocytomas are benign only 10% are malignant Option 2 - True - Almost 95% of tumors are abdominal in location, since 90% arise from adrenal medulla Option 3 - True - These tumors secrete catecholamines like epinephrine, norepinephrine, dopamine Option 4 - True - Extra-adrenal pheochromocytomas occur in sympathetic ganglia in neck, mediastinum, bladder, organ of Zukercandl 'Rule of 10's' in pheochromocytoma 10% are bilateral 10% are extra-adrenal 10% are malignant 10% occur in children 10% are not associated with hypertension